Commonest cause of heart failure in infancy is:
1. Myocarditis
2. Rheumatic fever
3. Cardiomyopathy
4. Congenital heart disease

Correct answer: 4. Congenital heart disease

Explanation: --> The most common cause of Congestive heart failure (CHF) in infants-- Congenital heart disease. OTHER IMPORTANT ONE LINERS: --> MC congenital heart disease in children --> VSD --> MC congenital acyanotic heart disease in children --> VSD --> MC congenital heart diseases affected by infective endocarditis in children --> VSD --> Congenital heart disease which is least commonly affected by Infective endocarditis --> ASD --> MC congenital heart disease causing mortality in 1st wk of life --> Hypoplastic Left Heart Syndrome.